Most variable absorption is seen with which route
1. oral
2. Intramuscular
3. Intravenous
4. Per rectal

Correct answer: 1. oral

Explanation: Ref-Goodman and gillman 12th/20 Oral route has maximum variability in absorption